Which of the following method is used to demonstrate blackening and tattooing of skin and clothing?
1. Magnifying lens
2. Luminol spray
3. Ultraviolet light
4. Infrared photography

Correct answer: 4. Infrared photography

Explanation: Infrared photography is used to detect tattoos on cloth or skin. Ref: Dating and Age Determination of Biological Materials By Michael R. Zimmerman, John Lawrence Angel, Page 170